All of the following methods are used for the diagnosis of HIV infection in a 2-month-old child, except
1. DNA-PCR
2. HIV ELISA
3. Viral culture
4. P24 antigen assay

Correct answer: 2. HIV ELISA